A young boy 18 years of age presents with Pain in groin for 2 days. On examination the testis seems high and cremasteric reflex is absent. Elevation of testis worsens the pain. The probable diagnosis is:
1. Right testicular torsion
2. Right strangulated hernia
3. Right inguinal hernia
4. Right epididymo-orchitis

Correct answer: 1. Right testicular torsion

Explanation: Ans. (a) Right testicular torsionRef: Bailey 26th Edition, Page 1380* Torsion of Testis is most common between 10 to 25 years. Cremasteric reflex is lost. Elevation of testis worsen the pain